Not a radiological feature of rickets –
1. Splaying of metaphysis
2. Cupping of metaphysis
3. Subluxation of epiphysis
4. Widening of metaphysis

Correct answer: 3. Subluxation of epiphysis

Explanation: Subluxation of epiphysis is not a radiological feature of rickets.
Radiological signs of rickets have been explained earlier.